Which one of the following local anaesthetics belongs to the ester group?
1. Procaine
2. Buovacaine
3. Lignocaine
4. Mepivacaine

Correct answer: 1. Procaine